A 25 yr old man presents for a routine examination The patient is tall and on examination was found to have an early diastolic murmur Family pedigree given what is the mode of inheritance of the disease in this patient
1. AD
2. AR
3. XLD
4. XLR

Correct answer: 1. AD

Explanation: HISTORY SUGGESTIVE OF MARFANS SYNDROME . WHICH IS AD. REF : ROBBINS 10TH ED